A 45 year old diabetic patient has immunosuppressed with uncontrolled diabetes mellitus. The lesions are locally destructive and have eroded into the eye, palate, and central nervous system, often from an initial site in the sinuses. The organism can be difficult to culture. The appropriate treatment is:
1. Is intravenous amphotericin only
2. Surgical debridement only
3. Watchful observation
4. Intravenous amphotericin but surgical debridement should also be strongly considered

Correct answer: 4. Intravenous amphotericin but surgical debridement should also be strongly considered

Explanation: Intravenous amphotericin but surgical debridement should also be strongly considered